Radiological features of left ventricular heart failure are all, EXCEPT:
1. Kerley B lines
2. Cardiomegaly
3. Oligemic lung fields
4. Increased flow in upper lobe veins

Correct answer: 3. Oligemic lung fields

Explanation: Classic signs of acute heart failure that can be seen on a chest x-ray of left ventricular failure are: Cardiomegaly Upper lobe blood diversion "Bat's wing" alveolar edema Pleural effusions Echocardiography is the investigation of choice and can identify and quantify LVH and dysfunction (both systolic and diastolic) as well as examine causes of heart failure, such as valve abnormalities. Oligemic lung fields seen in Pulmonary atresia, stenosis; Ebstein's anomaly. Also Know: Chest X ray Findings Boot shaped heart - TOF "3"like appearance - Coarctation of aorta. Figure of '8'- TAPVC(Total anomalous pulmonary venous connection) Bat wings appearance -Pulmonary edema. Ref: O'Rourke R.A., Gilkeson R.C. (2011). Chapter 17. Cardiac Radiography. In V. Fuster, R.A. Walsh, R.A. Harrington (Eds), Hurst's The Heart, 13e.